Most common effect of congenital adrenal hyper-plasia:
1. Female pseudohermaphroditism
2. Male pseudohermaphroditism
3. True hermaphroditism
4. Gonadal dysgenesis

Correct answer: 1. Female pseudohermaphroditism

Explanation: Ans. Female pseudohermaphroditism